During PPH Internal iliac Ligation done at :
1. Origin of internal iliac artery
2. Anterior division of Internal iliac artery
3. Posterior division of internal iliac artery
4. Common iliac artery

Correct answer: 2. Anterior division of Internal iliac artery

Explanation: Anterior division of Internal iliac artery